Malignant hyperthermia is caused by
1. Succinylcholine + halothane
2. Propranolol
3. Lidocaine
4. Bupivacaine

Correct answer: 1. Succinylcholine + halothane

Explanation: Ans. is 'a' i.e., Succinylcholine + halothane